High specificity detects
1. High true negatives
2. Low true negative
3. High false positive
4. High true positive

Correct answer: 1. High true negatives

Explanation: (A) High true negative > A screening test with a high specificity will have few false positives.> The term "false positive" means that patients who do not have the disease are told that they have it. In which case, normal healthy people may be subjected to further diagnostic tests.> A screening test which is very sensitive has few "false negatives" and more true positives. The lower the sensitivity, the larger will be the number of false negatives, and decreased true positives. Otherwise sensitivity tells about true positive and specificity tells about true negative.